I cells secrete
1. Secretin
2. Gastrin
3. CCK
4. Motilin

Correct answer: 3. CCK

Explanation: -Cholecystokinin (CCK) is secreted by cells in the mucosa of the upper small intestine. It has a plethora of actions in the gastrointestinal system, but the most important appear to be the stimulation of pancreatic enzyme secretion, the contraction of the gallbladder (the action for which it was named), and relaxation of the sphincter of Oddi, which allows both bile and pancreatic juice to flow into the intestinal lumen. -Gastrin is produced by cells called G cells in the antral portion of the gastric mucosa -Secretin is secreted by S cells that are located deep in the glands of the mucosa of the upper portion of the small intestine -Motilin is secreted by enterochromaffin cells Reference ; GANONG'S REVIEW OF MEDICAL PHYSIOLOGY 23RD EDITION Pg 745,746,747